Which artery is involved in dysphagia lusoria
1. Abnormal right subclavian artery
2. Abnormal right thyroid artery
3. Abnormal right internal carotid artery
4. Abnormal left subclavian artery

Correct answer: 1. Abnormal right subclavian artery

Explanation: Ans. is 'a' i.e., Abnormal right subclavian artery Dysphagia Lusoria* Dysphagia Lusoria is a disorder of swallowing caused due to vascular anomalies* Causes of Dysphagia Lusoria:# A right aortic arch# A double aortic arch# A vascular constricting ring formed by a PDA or a ligamentumarteriosum and the pulmonary artery or aortic arch.# An abnormal right subclavian artery.(Arterialusoria)# An abnormal innominate artery.* Diagnosis is made by a lipoidal swallow or by arteriography.